Which condition doctor is passive -
1. Classical psychoanalysis
2. Psychoanalytic psycoanalysis
3. Both
4. None

Correct answer: 1. Classical psychoanalysis

Explanation: In psychoanalysis (classical psychoanalysis) the therapist remains passive, whereas in psychoanalytic psychotherapy therapist talks quite a lot.